Amber codon is:
1. UAA
2. UAG
3. UGA
4. UAC

Correct answer: 2. UAG

Explanation: Terminator Codons/Stop Codons/Nonsense Codons
UAG --- Amber
UGA --- Opal
UAA --- Ochre
Exceptions
UGA can be recoded to Selenocysteine.
UAG can be recoded to Pyrrolysine.
UGA codes for Tryptophan in mitochondrial DNA.
Reference- Harper 30th edition Pg- 415